Which of the following is a date rape drug?
1. Cocaine
2. Heroin
3. Flunitrazepam
4. Methamphetamine

Correct answer: 3. Flunitrazepam

Explanation: Flunitrazepam, gamma hydroxybutyric acid (GHB) and ketamine are the three most commonly used date rape drugs. These drugs lower the alertness and make the victim more vulnerable to sexual assault, hence known as 'date rape drugs'